Zero order kinetic is shown by all EXCEPT:
1. High dose salicylates
2. Phenytoin
3. Ethanol
4. Methotrexate

Correct answer: 4. Methotrexate